Moxidectin was approved by FDA recently for
1. Filariasis
2. Onchocerca volvulus
3. Hypertension
4. Scabies

Correct answer: 2. Onchocerca volvulus

Explanation: moxidectin is a macro cyclic lactone which is similar to ivermectin.it binds to the glutamate gated chloride channels leading to increased permeability and hyperpolarization and muscle paralysis. Ref: www.fda.gov.in